Short stature, secondary to growth hormone deficiency is associated with all of the following EXCEPT?
1. Normal body proportion
2. Normal bone age
3. Delayed dentition
4. Delayed puberty

Correct answer: 2. Normal bone age

Explanation: Short stature due to human growth hormone deficiency is characterized by: Normal body proportion Delayed dentition Bone age delayed Delay in sexual development